Most common cardiac defect in turner syndrome:
1. Coarctation of aorta
2. VSD
3. ASD
4. TOF

Correct answer: 1. Coarctation of aorta

Explanation: --> Overall MC congenital heart disease in Turner syndrome is Bicuspid aortic valve --> 2nd MC congenital heart disease in Turner syndrome is Coarctation of aorta TURNER SYNDROME: - Basic defect is 45 X0 - Always seen in Females IMPORTANT FEATURES (MNEMONIC - SeeA Baby CLOWN) - Short stature, Sensorineural hearing loss, Short 4th metacarpal - Amenorrhea (Primary) - Barr body absent - Cardiac anomalies, Cystic hygroma - Lymphedema of hand and feet, Low thyroid - Ovaries Underdeveloped (Streak Ovaries) --> thus infertile. - Webbed neck - Nipples widely placed, Shield shaped chest , No intellectual disability